Most important mechanism of development of resistance to drugs in tuberculosis is
1. Transduction
2. Conjugation
3. Transformation
4. Mutation

Correct answer: 4. Mutation

Explanation: Most important mechanism of development of resistance to anti-tubercular drugs is mutation. DRUG RESISTANCE MUTATION IN GENE Rifampicin rpoB Isoniazid katG and inhA Ethambutol embB Pyrazinamide pncA